Most common malignant intraorbital tumor in adult is-
1. Lymphoma
2. Rhabdomyosarcoma
3. Dermoid cyst
4. Sarcoma

Correct answer: 1. Lymphoma

Explanation: *Most common malignant orbital tumor in adult-> lymphoma.